Which among the following lung capacity is maximum?
1. IRV
2. FRC
3. IRV+ERV
4. VC

Correct answer: 4. VC

Explanation: Ans: d (Vital capacity) Ref: Ganong, 22nd ed, p. 652Please go through diagram given below & make the facts clear.LUNG VOLUMESInspiratory capacity (IC) = TV + IRVFunctional residual capacity = ERV + RVVital capacity = ERV + TV + IRVTotal lung capacity = ERV+ TV + IRV + RV. Male (L)Female (L)Residual volumeExpiratory reserve volume1.211.10.7Tidal volume0.50.5Inspiratory reserve volumeTotal lung capacity3.361.94.2 Respiratory minute volume - 6 L/ minAlveolar ventilation -4.2L/minMaximum voluntary ventilation - 125-170 L/minMax work done in breathing - 10 kg-m/ breathNormal work done in breathing -0.5 kg-m/ minTimed vital capacity / secFEV1 -83% FEV3 -97%REMEMBERTotal lung capacity is measured by:1) Helium dilution method2) Body plethismographyResidual volume is measured by:1) N2 washout method.